Fluctuating refractive errors with cataract are seen in
1. Morgagnian cataract
2. Diabetic cataract
3. Intumescent cataract
4. Traumatic cataract

Correct answer: 2. Diabetic cataract

Explanation: B i.e. Diabetic cataract Feature Found in Frequent change of presbyopic glasses Open angle glucoma Q Second sight (index myopia neutralizes the plus power of presbyopia & patient is able to see small prints without spectacles) Nuclear cataractQ Fluctuation of refractory error (high level of aqueous glucose is metabolized by aldose reductaseQ into sorbitol which then accumulates with in lens resulting in secondary osmotic over hydration of lens. Hypeglycemia leads to fluctuating myopia) Diabetic cataract Q Shield like cataract A topic dermatitis Q